IN activated protien C resistent disorder due to inactivation ?
1. factor 8
2. factor 5
3. factor 13
4. factor 4

Correct answer: 2. factor 5

Explanation: Factor V Leiden mutation * Factor V Leiden is an autosomal dominant condition that exhibits incomplete dominance and results in a factor V variant that cannot be as easily degraded by activated Protein C. * The gene that codes the protein is referred to as F5. Mutation of this gene is a single nucleotide polymorphism located on chromosome 1 in exon 10 * As a missense substitution it changes a protein's amino acid from arginine to glutamine. ref : robbins 10th ed